Maxillary primary cuspid enamel completion takes place at:
1. 6 months in utero
2. 6 months after birth
3. 9 months in utero
4. 9 months after birth

Correct answer: 4. 9 months after birth